Triple A syndrome includes all except
1. Alacrymia
2. Addison disease
3. Achlorhydria
4. Achalasia

Correct answer: 3. Achlorhydria

Explanation: Triple A syndrome is characterized by three specific features: achalasia, Addison disease, and alacrima (reduced or absent ability to secrete tears) It is a cause of primary adrenal insufficiency Ref Harrison internal medicine 20 e p2734t